Minky Kinky hair disease is due to defect in:
1. Cu transporter
2. Fe transporter
3. Zn transporter
4. Mg transporter

Correct answer: 1. Cu transporter

Explanation: Ans. A. Cu transporterMenke's (kinky or steely) hair SyndromeMutation in ATP7A geneX-linked recessive conditionDefective Copper binding P-type ATPaseCopper is not mobilised from Intestine